All are true about Hyperthyroidism EXCEPT:
1. Anxiety
2. Palpitations
3. Tachycardia
4. Weight gain

Correct answer: 4. Weight gain

Explanation: Ans. (d) Weight gainRef.: Harrison 19th ed. /152* T3 and T4 have sympatho-mimetic activity and they affect basal metabolic rate. Hence in thyrotoxicosis the increase in BMR will lead to weight loss. The sympatho- mimetic activity leads to anxiety palpitations and tachycardia.